Suprasternal space contains all except one of the following structures
1. Jugular venous arch
2. Sternohyoid muscles
3. Interclavicular ligament
4. Sternal heads of right and left sternocleidomastoid muscles.

Correct answer: 2. Sternohyoid muscles

Explanation: suprasternal space of burns contains

Sternal head of 2 sternocleidomastoid muscles
Interclavicular ligament
Jugular venous arch